drug of choice in familial hyperkalemic periodic paralysis ?
1. acetazolamide
2. rolofyline
3. bumetinide
4. torasamide

Correct answer: 1. acetazolamide

Explanation: Hypokalemic Periodic Paralysis acetazolamides * Acute paralysis : Oral KCI (0.2-0.4 mmol/kg) every 30 min * Muscle strength and ECG should be monitored * IV therapy rarely required (e.g., when swallowing problems or vomiting is present) * Avoid potassium in dextrose solution * Mannitol is the preferred vehicle for IV potassium ref : kd tripathi 8th ed